Headache or pain in distribution of Trigeminal nerve with ocular sympathetic paralysis is seen in
1. Reader’s syndrome
2. James Ramsay hunt’s syndrome
3. Trotter’s syndrome
4. TN

Correct answer: 1. Reader’s syndrome